GLUT 4 Receptors are primarily found in which tissues
1. Brain, red blood cells
2. Neurones and placenta
3. Liver, kidney, ileum
4. Skeletal muscle, fat and cardiac tissue

Correct answer: 4. Skeletal muscle, fat and cardiac tissue